Fever & hemorrhagic rash are seen in all except-
1. Dengue fever
2. Lassa fever
3. Rift Valley fever
4. Sand fly fever

Correct answer: 4. Sand fly fever